Component of TOF include A/E -
1. Pulmonary stenosis
2. ASD
3. Right vertncular hypertrophy
4. None of above

Correct answer: 2. ASD

Explanation: Ans. is 'b' i.e., ASD